Impulsivity, angry outbursts, unstable relationships, deliberate self harm & suicidal tendencies are characteristic of:
1. Nareissitic personality disorder
2. Schizoid personality
3. Borderline personality
4. Schizotypal PD

Correct answer: 3. Borderline personality

Explanation: Ans: C (Borderline personality) Ref: A short textbook of Psychiatry by Niraj AhujaExplanation:Personality disorders (PD)Cluster A (Odd & Eccentric)Paranoid PDExcessive sensitiveness to setbacks & rebuffsTendency to bear grudges persistentlySuspiciousnessCombative and tenacious sense of personal rightsExcessive self-importancePreoccupation with unsubstantiated 'conspiratorial' claimsSchizoid PDEmotional coldness, detachmentLimited capacity to express feelingsApparent indifference to either praise or criticismPreference for solitary activitiesLack of of close friends & relationshipsSchizotypal PDInappropriate or constricted affectOdd. eccentric or peculiar behaviour or appearancePoor rapport & Social withdrawalOdd beliefs or magical thinkingSuspiciouness & paranoid ideasCluster B (Dramatic, emotional & Erratic)Antisocial PDCallous unconcern for the feelings for othersDisregard for social norms, rules and obligationsIncapacity to maintain relationshipsLow tolerance to frustration, aggression Sc violenceHistrionic PDSelf-dramatization, exaggerated expression of emotions Easily influenced by others Shallow & Labile affectivityAttention seekingExcessive importance to physical appearancef. Narcissistic PDInflated self importance Sc ideas of grandiosityPreoccupation with fantasies of unlimited successAttention seeking, dramatic behaviour, needs constant praiseLack of empathy, exploitative behaviourShaky self-esteem Sc inferiorityBorderline PDSignificant disturbance of identity of selfUnstable Sc intense interpersonal relationshipsImpulsivity, angry outburstsDeliberate self harm & suicidal tendenciesCluster C (Anxious & Fearful)Avoidant PDPersistent feelings of tension Sc apprehensionBelief that one is unappealing Sc inferior to othersUnwillingness to become involved with peopleRestrictions in lifestyleAvoidance of social activitiesi. Dependent PDAllowing others to make important decisions in one's lifeSubordination Sc undue complianceExaggerated fears of inability to care for oneselfLimited capacity to make everyday decisionsj. Obsessive compulsive (Anankastic) PDFeelings of excessive doubt & CautionPreoccupation with details, rules. lists, order organisation or schedulePerfectionism that interferes with task completionRigidity Sc stubbornness